Medullary carcinoma of the thyroid is associated with which of the following syndrome?
1. MEN I
2. MEN II
3. Fraumeni syndrome
4. Hashimoto's syndrome

Correct answer: 2. MEN II

Explanation: MEN 1 is characterised by: Parathyroid hyperplasia or adenoma Islet cell hyperplasia, adenoma, or carcinoma Pituitary hyperplasia or adenoma Other, less common manifestations: foregut carcinoid, pheochromocytoma, subcutaneous or visceral lipomas MEN 2A: MTC (medullary thyroid carcinoma) Pheochromocytoma Parathyroid hyperplasia or adenoma MEN 2B: MTC (medullary thyroid carcinoma) Pheochromocytoma Mucosal and gastrointestinal neuromas Marfanoid features Ref: Harrisons principles of internal medicine, 18th edition, Page: 3072.